Troponin is a marker for which of the following condition:
1. Complete heart block
2. Pericardial effusion
3. Myoglobinuria
4. Myocardial infarction

Correct answer: 4. Myocardial infarction

Explanation: Although not enzymes, the proteins cardiac troponins are highly useful for the early diagnosis of MI Troponin Troponin is found in both skeletal muscle and cardiac muscle, but the specific versions of troponin differ between types of muscle.The main difference is that the TnC subunit of troponin in skeletal muscle has four calcium ion binding sites, whereas in cardiac muscle there are only three.Smooth muscle does not have troponin.Diagnostic useTroponin levels can be used as a test of several different heart disorders, including myocardial infarction.